Which of the following is not seen on hemoglobin electrophoresis in sickle cell anemia
1. HbA
2. HbA2
3. HbF
4. HbS

Correct answer: 1. HbA

Explanation: Ref Harrison 19 th ed pg 634 sickle cell syndromes are caused by a mutation in the b-globin gene that changes the sixth amino acid from glutamic acid to valine. HbS (a2 b2 6 Glu-Val) polymerizes reversibly when deoxygenated . No beta chains and therfther no HbA